Most common type of choledochal cyst?
1. Type 1
2. Type 2
3. Type 3
4. Type 6

Correct answer: 1. Type 1

Explanation: Choledochal cysts are congenital cystic dilatation of biliary tree.The most common type of choledochal cyst is Type l (Todani modification of Alonso-Lej classification),i.e.,Dilatation of extrahepatic biliary tree(approx.75%).It can be cystic(Type la),focal segmental/saccular(Type lb) or fusiform(Type lc).Choledochal cyst presents with the triad of right upper quadrant pain,jaundice,palpable abdominal mass. Reference:SRB's manual of surgery,5th edition,page no:637.